Antibiotic stomatitis is the other name for
1. Acute atrophic Candidiasis
2. Chronic atrophic Candidiasis
3. Chronic hyperplastic Candidiasis
4. Acute pseudomembranous Candidiasis

Correct answer: 1. Acute atrophic Candidiasis